Pseudolymphoma is a manifestation of ?
1. Phenytoin
2. Carbamazepine
3. Sodium valproate
4. Phenobarbital

Correct answer: 1. Phenytoin

Explanation: Ans. is 'a' i.e., Phenytoin Phenytoin on long term administration can lead to lymphadenopathy which is sometimes difficult to distinguish from malignant lymphoma. It is known as pseudolymphoma.